Epiphysis involved in which bone tumor -
1. Osteosarcoma
2. Multiple myeloma
3. Giant cell tumor
4. Ewing's sarcoma

Correct answer: 3. Giant cell tumor

Explanation: Ans. is 'c' i.e., Giant cell tumor o Epiphyseal tumors are : Chondroblastoma. Giant cell tumor (osteoclastoma), Clear cell chondrosaroma.